Sunray/ spoke wheel vasculature is a feature of
1. Craniopharyngioma
2. Glioblastoma multiforme
3. Oligodendroglioma
4. Meningioma

Correct answer: 4. Meningioma

Explanation: On DSA- The classic angiographic appearance of a meningioma is a radial "sunburst" of vessels extending from the base of the tumor toward its periphery. Dural vessels supply the core or center of the lesion, radiating outward from the vascular pedicle of the tumor. DSA image showing characteristic SUNBURST PATTERN of meningioma. Mother in law sign- Lesions that enhance early during the arterial phase and remain opacified well after the venous phase and is seen in meningioma. Other Features of Meningioma Dural tail sign Hyperdense on CT Isointense/Hypointense on T2 Calcification Skeletal Hyperostosis Pneumosinus dilatans